Which one of the following is not a green house gas ?
1. Carbon monoxide
2. Methane
3. Nitrous oxide
4. Water vapour

Correct answer: 1. Carbon monoxide